A farmer presents with subcutaneous swelling, multiple discharging sinuses in the leg. Not responding to antibiotics - diagnosis
1. Madurella
2. Nocardia
3. Actinomadura
4. None of the above

Correct answer: 1. Madurella

Explanation: Not responding to antibiotics; Eumycetoma - Madurella (m/c).